All are seen in Thoracic outlet syndrome except -
1. Mass in the Neck
2. Wasting of forearm muscles
3. Adson's test positive
4. Pallor

Correct answer: 2. Wasting of forearm muscles

Explanation: Muscles of hand are wasted, not the forearm muscles.
• Ulnar nerve (C8-T1) involvement is most common.
• It is associated with:
−− Motor weakness and atrophy of the hypothenar and interosseous muscles
−− Pain and paresthesia along the medial aspect of the arm, hand, 5th finger and medial aspect of 4th finger.